When stereocilia of an auditory hair cell are deflected in the appropriate direction, potassium channels open in the apical membrane of the cell and?
1. Potassium ions flow out of the cell, hyperpolarizing the cell
2. Potassium ions flow out of the cell, depolarizing the cell
3. Potassium ions flow into the cell, hyperpolarizing the cell
4. Potassium ions flow into the cell, depolarizing the cell

Correct answer: 4. Potassium ions flow into the cell, depolarizing the cell

Explanation: The opening of potassium channels in the apical membrane of auditory hair cells allows potassium ions to flow into the cell and depolarize the cell. The apical surface of these cells is exposed to endolymph, which contains potassium ions at a much greater concentration than is found inside the cell. A potential difference of 160 mV (outside positive) exists across the apical membrane, and this results in a net movement of potassium ions into the cell when the stereocilia bundle is deflected and ion transduction channels are opened. The membrane potential of the hair cell moves in the positive direction (toward zero) and this results in depolarization of the cell.